Indication for Adenoidectomy in children include
1. Recurrent rhinosinusitis
2. Chronic otitis media with effusion
3. Dental malocclusion
4. All of the above

Correct answer: 4. All of the above

Explanation: ADENOIDECTOMY INDICATIONS :- 1. Adenoid hypertrophy causing snoring, mouth breathing, sleep apnoea syndrome or speech abnormalities, i.e. (rhinolalia clausa). 2. Recurrent rhinosinusitis. 3. Chronic otitis media with effusion associated with adenoid hyperplasia. 4. Recurrent ear discharge in benign CSOM associated with adenoiditis/adenoid hyperplasia. 5. Dental malocclusion. Adenoidectomy does not correct dental abnormalities but will prevent its recurrence after orthodontic treatment. Ref:- Dhingra; pg num:-431